Morphine is used in:
1. Hypertension
2. Cardiac arrythmias
3. Acute left ventricular failure
4. A-V block

Correct answer: 3. Acute left ventricular failure

Explanation: Ans. C: Acute left ventricular failure Morphine affords dramatic relief in acute left ventricular failure by: Reducing preload on the heart due to vasodilatation and peripheral pooling of the blood. Tending to shift the blood from pulmonary to systemic circuit; relieves pulmonary congestion and edema. Allays hunger anxiety by depressing respiratory centre. Cuts down sympathetic stimulation by calming the patient, reduces cardiac work.